Which one of the following is best for localization of zollinger ellison syndrome?
1. EUS (endoscopic ultrasound)
2. Secretin injection test
3. MRI
4. Basal gastric acid output

Correct answer: 1. EUS (endoscopic ultrasound)

Explanation: Endoscopic ultrasound permits imaging of ZES with high degree of resolution (<5mm). This modality rules out small neoplasms in pancreas. Imaging modalities : EUS>octreoscan>MRI>USG The secretin provocative test is usually positive, with the criterion of a >120-pg/mL increase over the basal level having the highest sensitivity (94%) and specificity (100%).